Howell-jolly bodies are seen in:
1. Sickle cell anemia
2. Splenectomy
3. Both of the above
4. None of the above

Correct answer: 3. Both of the above

Explanation: Ans. C: Both of the above Howell-Jolly bodies are histopathological findings of basophilic nuclear remnants (clusters of DNA) in circulating erythrocytes. During maturation in the bone marrow erythrocytes normally expel their nuclei, but in some cases a small portion of DNA remains Howell-Jolly bodies are present in some red cells due to asplenia. Common causes of asplenia are splenectomy due to trauma and autosplenectomy caused by sickle cell anemia.